Milan criteria is used for -
1. Liver transplntation
2. GERD staging
3. Cirrhosis staging
4. Hepatic eccephalopathy staging

Correct answer: 1. Liver transplntation

Explanation: Ans. is 'a' i.e., Liver transplantation o In transplantion medicine, the Milan criteria are applied as a basis for selecting patients with cirrhosis and hepatocellular carcinoma for liver transplantation.The Milan criteria state that a patient is selected for transplantation when he or she has:# Up to 3 lessions smaller than 3 cm.# No extrahepatic manifestations# No vascular invasion HCC CriteriaCriteriaComponentMilanSingle tumour < 5 cmupto 3 tumour each < 3 cmUCSFo Single tumour < 6[?]5 cmo Upto 3 tumour each < 4[?]5 cmo Total tumour diameter < 8 cmTorontoo No number or size restrictiono No systemic symptomso Not poorly differentiated